Trigone of bladder is derived from -
1. Mesonephric duct
2. Paramesonephric duct
3. Absorbed anal membrane
4. Mullerian duct

Correct answer: 1. Mesonephric duct

Explanation: Ans. is 'a' i.e., Mesonephric duct o The urinary bladder (except trigone) is derived from vesicourethral canaL cranial part of urogenital sinus (endodermal).o Trigone is derived from Absorbed part of Wolffian duct/mesonephrk duct (mesodermal).